Triple test for diagnosis of down's syndrome includes all of the following except -
1. b-HCG
2. a-Fetoprotein
3. Serum HPL level
4. Serum oestriol level

Correct answer: 3. Serum HPL level

Explanation: Ans is 'c' i.e., Serum HPL levels Triple test is a combined biochemical test which includes --> MSAFP, HCG, & Oestriol In an affected pregnancy - level of MSAFP is decreased - level of oestriol is decreased - level of hCG is High (increased)